Components of epithalamus include all except
1. Habenula
2. Striae medullaris
3. Striae terminalis
4. Pineal gland

Correct answer: 3. Striae terminalis

Explanation: Epithalamus consists of 

Dorsal segment of diencephalon
Habenula
Striae medullaris
Pineal gland